A 20-year-old man fell from the parallel bar during the Olympic trial. A neurologic examination reveals that he has a lesion of the lateral cord of the brachial plexus. Which of the following muscles is most likely weakened by this injury?,
1. Subscapularis
2. Teres major
3. Latissimus dorsi
4. Pectoralis major

Correct answer: 4. Pectoralis major

Explanation: The pectoralis major is innervated by the lateral and medial pectoral nerves originating from the lateral and medial cords of the brachial plexus, respectively. The subscapularis, teres major, latissimus dorsi, and teres minor muscles are innervated by nerves originating from the posterior cord of the brachial plexus.